Endoscope tube is sterilized by:
1. Glutaraldehyde
2. Formalin
3. Autoclaving
4. Boiling

Correct answer: 1. Glutaraldehyde

Explanation: Ans. is 'a' i.e., Glutaraldehyde (Ref: Baveja, 4th/e, p. 35)Effective against Mycobacterium species, fungi and virucidal, less toxic and irritant to eyes and skin than Formaldehyde, Accepted as sterilant and high level disinfectant can be used in presence of organic matter used as 2% buffered solution (CIDEX) for 20 min used for cystoscopes, endoscopes, bronchoscope, Sterilize plastic endotracheal tubes, face masks.